All of the following are true about vagina except
1. Direction of vagina is parallel to plane of brim of true pelvis.
2. Posterior wall is 11.5 cm and anterior wall is 9 cm long
3. Vaginal mucosa is lined by keratinized squamous epithelium
4. No glands open into vagina

Correct answer: 3. Vaginal mucosa is lined by keratinized squamous epithelium

Explanation: Vaginal mucosa is lined by non-keratinized squamous epithelium.